Which is not involved in local hemostasis
1. Fibrinogen
2. Calcium
3. Vit k
4. Collagen

Correct answer: 3. Vit k

Explanation: Ref Robbins 9/e p118-119 Vitamin K serves as an essential cofactor for a carboxylase that catalyzes carboxylation of glutamic acid residues on vitamin K-dependent proteins. The key vitamin K-dependent proteins include: Coagulationproteins: factors II (prothrombin), VII, IX and X